Most common accelerator added to gypsum product
1. Sodium Chloride
2. Potassium sulphate
3. Sodium Phosphate
4. Acetates

Correct answer: 2. Potassium sulphate